A 53-year-old man presents to casualty with severe chest pain. He has a history of angina. ECG shows ST elevation of 4 mm in leads V1-V4. Thrombolysis is done but pain and ECG findings are persisting even 90 minutes after start of thrombolysis. What is the best management of this patient?
1. Rescue PCI
2. Primary PCI
3. Delayed PCI
4. IV Abciximab

Correct answer: 1. Rescue PCI

Explanation: On treatment, ST elevation reduces gradually in 90 mins In this patient ST elevation doesn't come down even after thrombolysis. Failed thrombolysis--> Do Rescue PCI (Per cutaneous coronary interventions) Other options Primary PCI --> For STEMI Delayed PCI--> For NSTEMI IV Abciximab-->For NSTEMI